In future replacement of questionable mandibular teeth is anticipated, the major connector of choice is:
1. Lingual bar.
2. Lingual plate.
3. Sublingual bar.
4. Sublingual plate.

Correct answer: 2. Lingual plate.

Explanation: When one or more incisor teeth have to be replaced in the future, the lingual plate is preferred because additional teeth can be added by attaching retention loops to it.